The gold standards for confirmation of placement of Endotracheal tube is-
1. Capnography
2. Visualization of the chest excursion
3. Auscultation
4. Ultrasound

Correct answer: 1. Capnography

Explanation: The gold standards for confirmation of placement include Capnography Others method for confirmation of placement of Endotracheal tube Visualization of placement through vocal cords Disposable chemical colorimetric devise